The most common intracranial site of hypertensive aemorrhage is:
1. Basal ganglia
2. Brainstem
3. Cerebellum
4. Hippocampus

Correct answer: 1. Basal ganglia

Explanation: Answer is A (Basal ganglia): The putamen (basal ganglia) is the most common site of hypertensive haemorrhage' - Harrison 16th/2390